Facial divergence is
1. Anterior placement of the rnidface
2. Inclination of the lower third of the face in relation to the fore head
3. Inclination of the upper third of the face to the middle third of the face
4. None of the above

Correct answer: 2. Inclination of the lower third of the face in relation to the fore head